A young male presented with dyspnea, bleeding and petechial hemorrhage in the chest after 2 days following fracture shaft of the femur right side. Most likely cause is -
1. Air embolism
2. Fat embolism
3. Pulmonary thrombo-embolism
4. Amniotic fluid embolism

Correct answer: 2. Fat embolism